All of the following statements are true for hepatitis- E
except:
1. Commonest cause for epidemic in India
2. Affects children more than adults
3. Causes fulminant hepatic failure
4. Effects pregnant females and responsible for their mortality

Correct answer: 2. Affects children more than adults

Explanation: The incubation period ranges from 2-9 weeks with an average of six weeks. Most cases occur in young to middle-aged adults (15-40 years old). 
The disease is generally mild and self-limited, with a low case fatality of about 1 percent. A unique feature is the clinical severity and high case fatality rate of 20-40 percent in pregnant women, especially in the last trimester of pregnancy. 
 Reference: Ananthanarayan Microbiology  8th edition page no  554